Which of the following pattern recognition receptors recognise products of necrotic cells
1. TLR
2. NOD - like receptors
3. Lectin type receptors
4. RIG like receptors

Correct answer: 2. NOD - like receptors

Explanation: NOD - like receptors recognise products of necrotic cells, Ion disturbancer microbial products.